Primordial prevention is for
1. Persons without risk factors
2. Persons with risk factors
3. Cure of disease
4. Treatment of complications

Correct answer: 1. Persons without risk factors

Explanation: Primordial preventionIt is first prevention in its purest form i.e. prevention of emergence of development of risk factor in countries or population groups in which they have not yet appeared. Efforts were taken to discourage children from adopting harmful habits.Primordial prevention is for persons without risk factorsMain intervention is through the individual or the mass education.